Maternal viremia most commonly spreading to fetus in utero:
1. CMV
2. Rubella
3. HIV
4. Herpes

Correct answer: 1. CMV

Explanation: Ans. (a) CMV Ref. Nelson 17/e, p 568, 623, 626, 631 Transplacental transmission occure in Viruses Rubella CMV HSV Varicella zoster virus Parvo B - 19 Coxasackie viruses HIV West nile virus Coxasackie viruses HBV and HCV Measles Bacteria Syphilis TB Brucella Parasite Plasmodium T. cruzi Microsporidia Toxoplasma